Indication for Radical prostatectomy is?
1. Localized prostate cancer, life expectancy< 10 years
2. Localized prostate cancer, life expectancy> 10 years
3. Locally advanced prostate cancer, life expectancy < 10 years
4. Locally advanced disease with extension to lateral pelvic fascia

Correct answer: 2. Localized prostate cancer, life expectancy> 10 years

Explanation: Ans. (b) Localized prostate cancer, life expectancy> 10 yearsRef: Bailey & Love 26th ed. /1355* Nerve-sparing RRP is done in patients with clinically localized prostate cancer who have at least a 10-year life expectancy and low comorbidities.* Patients with locally advanced disease cannot undergo nerve-sparing RRP; because of the extent of the local tumor burden (especially posteriorly), the nerve-sparing procedure can compromise the adequacy of the operation.* The objective of modern RP are to remove the entire cancer with negative surgical margins, minimal blood loss, no serious perioperative complications, and complete recovery of continence and potency.